Erythasma is caused by:
1. Corynebacterium minutissimum
2. Diphtheriae
3. C. ulcerans
4. C. vaginale

Correct answer: 1. Corynebacterium minutissimum

Explanation: Ans is 'a' i.e, Corynebacterium minutissimum